Allopurinol potentiates action of :
1. Azathioprine
2. Busulfan
3. Actinomycin
4. Procarbazine

Correct answer: 1. Azathioprine